Diameter of engagement in face presentation/ diameter in face presentation:a) Mentoverticalb) Submentoverticalc) Suboccipitobregmaticd) Submentobregmatice) Suboccipitovertical
1. c
2. bd
3. ab
4. ac

Correct answer: 2. bd